Which of this mechanism in Hanging is more associated with Amussat sign?
1. Short drop hanging
2. Suspension hanging
3. Standard drop hanging
4. Long drop hanging

Correct answer: 4. Long drop hanging

Explanation: Amussat's sign : Transverse carotid intimal tears may be seen in obese victims, long drops and posteriorly placed knots usually associated with Judicial hanging